Xerophthalmia is a public health problem if prevalence of bitot spots is
1. > 1%
2. >0.5%
3. > 0.01%
4. > 0.05%

Correct answer: 2. >0.5%

Explanation: Night blindness : > 1%.
Bitot spots : >0.5%.
Corneal ulcer : >0.05%.
Corneal xerosis : >0.01%.